Which of the following is a new ILI antagonist used in rheumatoid arthritis?
1. Anakinra
2. Rituximab
3. Teriparatide
4. Adalimumab

Correct answer: 1. Anakinra

Explanation: Ans. is 'a' i.e., Anakinra